Causes of Shallow Anterior chamber are all except:
1. Hypermetropia with small axial length
2. Pupil block due to vitreous bulge after Intra Capsular Cataract Extraction
3. Iris Bombe
4. Pathological Myopia

Correct answer: 4. Pathological Myopia

Explanation: Pathological myopia causes deep anterior chamber. Small axial length causes shallow anterior chamber. Pupil block also would decrease it by doing pupillary block. As it would do the bulge . AC would be shallow in periphery. Iris bombe also causes protrusion of iris and shallow AC Aphakia & myopia- have deep Anterior Chamber definitely. Note- in aphakic patients there will be H/O of limbal surgery (scar on limbus), JET BLACK puppil and tremulousness of iris k/a iridionesis along with deep anterior chamber